The anterior interosseous nerve is a branch of:
1. Superficial branch of radial nerve
2. Deep branch of radial nerve
3. Median nerve
4. Ulnar nerve

Correct answer: 3. Median nerve

Explanation: Ans. C. Median nerveThe anterior interosseous nerve is a branch of the median nerve that supplies the deep muscles on the anterior of the forearm, except the ulnar (medial) half of the flexor digitorum profundus.It accompanies the anterior interosseous artery along the anterior of the interosseous membrane of the forearm, in the interval between the flexor pollicis longus and flexor digitorum profundus, supplying the whole of the former and the radial half of the latter, and ending below in the pronator quadratus and wrist joint.